What is the parameter that is used to assess lipid peroxidation?
1. Malondialdehyde
2. CRP
3. hsCRP
4. Carboxymethyl lysine

Correct answer: 1. Malondialdehyde

Explanation: Ans. is 'a' i.e., Malondialdehyde* ROS can be produced by either breakage of covalent bond, addition of electrons to a molecule or removal of hydrogen by other radicals. They are generally highly reactive species and typically act as electrophilic species or oxidant agents. The most important radicals or pro-oxidant molecules involved in disease processes are superoxide (O2-), hydroxyl radical (OH), hydrogen peroxide (H2O2) and certain oxides of nitrogen, like nitric oxide (NO) and peroxynitrite (ONOO-)2* Since it is complex measuring free radicals directly in vivo, it is necessary to carry out the quantification of cellular components which can react with these free radicals, such as proteins, DNA and mainly lipids. Once lipid peroxides are unstable compounds, they tend to degrade rapidly in a variety of sub products. MDA (Malondialdehyde) is one of the most known secondary products of lipid peroxidation, and it can be used as a marker of cell membrane injury.* MDA is a three-carbon, low-molecular weight aldehyde formed by cyclization of aldehydes which have unsaturation in a or (3 positions* Several methods have been developed to assess MDA, including quantitative methods using spectrophotometry or fluorimetric detection, high performance liquid chromatography (HPLC), gas chromatography and immunological techniques* Other markers of oxidative stress include conjugated dienes, ethane and pentane gases, isoprostanes and 4-HNE (4 - hydroxy 2- nonenal)About other option* CRP and hsCRP are inflammatory markers* Carboxymethyllysine is an advanced glycation product